Daily dose of INH for TB ?
1. 600 mg
2. 300 mg
3. 150 mg
4. 1500 mg

Correct answer: 2. 300 mg

Explanation: Ans. is 'b' i.e., 300 mg